Pancytopenia with cellular marrow is seen in all except?
1. Megaloblastic anemia
2. Myelodysplasia
3. Paroxysmal nocturnal Hemoglobinuria
4. G6PD Deficiency

Correct answer: 4. G6PD Deficiency

Explanation: G6PD deficiency does not present with pancyopenia. Cause of Pancytopenia with Cellular Bone Marrow Primary bone marrow diseases Myelodysplasia Paroxysmal nocturnal hemoglobinuria Myelofibrosis Some aleukemicleukemia Myelophthisis Bone marrow lymphoma Hairy cell leukemia Secondary to systemic diseases Systemic lupus erythematosus Hypersplenism B12, folate deficiency Overwhelming infection Alcohol Brucellosis Sarcoidosis Tuberculosis Leishmaniasis